The validity of a test is based upon all except
1. Sensitivity
2. Specificity
3. Precision
4. Accuracy

Correct answer: 3. Precision

Explanation: The term validity refers to what extent the test accurately measures which it purports to measure. Accuracy refers the closeness with which measured values agree with true values.Validity has two components - sensitivity and specificity.Sensitivity and specificity, together with predictive accuracy are inherent properties of a screening test.Park 23e pg: 138